Von Herick angle grade '3' of anterior chamber denotes?
1. Wide open angle
2. Moderately open angle
3. Moderately narrow angle
4. Closed angle

Correct answer: 2. Moderately open angle

Explanation: Ans. is 'b' i.e., Moderately open ang Classification of anterior chamber angle based on van herick angleof the anterior chamber estimation method Angle grade Angle grade Cornea to angle ratio 4 Wide open angle incapabel of closure. Iris to cornea angular separation equals to 35-45 Anterior chamber depth (shadow) is equal to or greater than corneal thickness 3 Moderately open angle incapable of closure. Iris to corneal angular separation equals to 20-35deg Anterior chamber depth (shadow) is between 1/4 and 1/2 of the corneal thickness 2 Moderately narrow angle closure possible. Iris to corneal angular separation equals to 20deg Anterior chamber depth (shadow) is equal to 1/4 of the corneal thickness 1 Extremely narrow angle, closure chance high. Iris to corneal angular separation equals to 10deg Anterior chamber depth (shadow) is equal to less than 1/4 of the corneal thickness 0 Basically closed angle. Iris to corneal angular separation is 0 Anterior chamber depth (shadow) is nil or only a very narrow slit